True about shunt vessels
1. Evenly distributed throughout the skin
2. Role in nutrition
3. Play a role in thermoregulation
4. No autonomic nervous regulation

Correct answer: 3. Play a role in thermoregulation

Explanation: Shunt vessels are short, low resistance connection between arterioles and veins,allowing blood to bypass capillaries in certain areas These vessels are especially found in skin of finger, toes, and earlobes where they play a major role in thermoregulation Ref: Medical Physiology Indu Khurana 2015 edition, Page No:237 Shunt vessels can control blood flow by constriction and dilatation . In endotherms the shunt vessels dialate in response to cold,this cause more heat to be carried by blood to the skin where it can be lost to the air and preventing heat loss through the skin once body temperature has returned to normal.